Which of the following opioid can be given intranasally?
1. Tramadol
2. Pethidine
3. Butorphanol
4. Buprenorphine

Correct answer: 3. Butorphanol

Explanation: Butorphanol is full agonist at kappa & antagonist at μ receptor that can be given intranasally.